The voice is not affected in:
1. Unilateral abductor palsy
2. Unilateral adductor palsy
3. B/L superior laryngeal palsy
4. Total adductor palsy

Correct answer: 1. Unilateral abductor palsy

Explanation: In U/L abductor palsy, the affected vocal cord assumes a median or paramedian position. The other is normal so one third patients are asymptomatic while others may have some voice change.